Locord's systems is -
1. Podography
2. Dactylography
3. Poroscopy
4. Cheioscopy

Correct answer: 3. Poroscopy

Explanation: Poroscopy or Locards system is study of pores of sweat glands on the epidermal ridges at fingertips. Each mm of ridge contains 9-15 pores. It is useful when fragments of fingerprints are available. ref :Dr.K.S.Narayana Reddys Synopsis of Forensic Medicine & Toxicology 27th edition pg. 47.